Splenectomy is expected to cause
1. Increase in number of platelets
2. Decrease in number of platelets
3. No change in number of platelets
4. Complete absence of platelets

Correct answer: 1. Increase in number of platelets

Explanation: Splenectomy causes an increase in the platelet count (thrombocytosis).